All are used in the acute attack of asthma in a 4-year-old child except –
1. Theophylline
2. Corticosteroids
3. Sedatives
4. Salbutamol

Correct answer: 3. Sedatives

Explanation: Treatment of acute exacerbation of asthma

Acute exacerbation may be graded as


Mild
Moderate                  
Severe             
Life-threatening (status epilepticus).

Grading of Severity of Acute Asthma